A young male presents with ear discharge since three years; recently developed swelling in the neck below and behind the angle of mandible, torticollis; on the examination, the external auditory canal was filled with granulation tissue. What is the diagnosis?
1. Luc's abscess
2. Citelli's abscess
3. Bezold's abscess
4. Parapharyngeal abscess

Correct answer: 3. Bezold's abscess

Explanation: Bezold's abscess It can occur following acute coalescent mastoiditis when pus breaks through the thin medial side of the tip of the mastoid and presents as a swelling in the upper part of the neck. The abscess may Lie deep to sternocleidomastoid, pushing the muscle outwards. Follow the posterior belly of digastric and present as swelling between the tip of mastoid and angle of the jaw. Present in the upper part of the posterior triangle. Reach the parapharyngeal space. Track down along the carotid vessels. Clinical features: Onset is sudden. Pain Fever Tender swelling in the neck Torticollis The patient gives a history of purulent otorrhoea. (Ref: Textbook of diseases of ENT, PL Dhingra, 7th edition, pg no. 87)